All of the following are parts of the bony labyrinth except-
1. Vestibule
2. Cochlea
3. Utricle
4. Semicurcular canals

Correct answer: 3. Utricle

Explanation: Ans. is 'c' i.e., Utricle o The inner ear within the petrous part of temporal bone consists of a membranous labyrinth enclosed in a bony (osseous) labyrinth - Inner ear consists of the membranous labyrinth enclosed in the bony labyrinth. So, inner ear has two parts:-1) Bony labyrinth:- Cochlea, Vestibule, Semicircular canals.2) Membranous labyrinth :- Cochlear duct, utricle, Saccules, three semicircular ducts, and endolymphatic duct & sac.